Of the total amount of  saliva secreted by all the salivary glands in a day, more than half is secreted by:
1. Parotid gland.
2. Submandibular gland.
3. Sublingual gland.
4. Combined secretion from minor salivary glands.

Correct answer: 2. Submandibular gland.

Explanation: Submandibular gland secrets about 60% of the saliva, parotid glands about 35% and remaining 5% is contributed by minor salivary glands.